Fanconi's anemia is a –
1. Constitutional anemia
2. Hemolytic anemia
3. Iron deficiency anemia
4. Auto - immune anemia

Correct answer: 1. Constitutional anemia

Explanation: Constitutional pancytopenia

Constitutional pancytopenia is defined as decreased marrow production of the 3 major hematopoietic lineages on an inherited basis, resulting in anemia, neutropenia and thrombocytopenia.
Important causes are : -
Fanconi anemia                             o Amegakaryocytic thrombocytopenia
Shwachman-Diamond syndrome      o Down syndrome
Dyskeratosis congenita                   o Noonan syndrome